Glucose and amino acids are reabsorbed from PCT or absorbed from intestinal lumen by
1. Symport
2. Antiport
3. Uniport
4. Primary active transport

Correct answer: 1. Symport

Explanation: Glucose and amino acids are reabsorbed from PCT by symport along with sodium. Ref: Ganong's review of medical physiology; 24th edition; page no; 682 Ref of image;